Zinc is a component of the following except
1. Hexokinase
2. Carbonic anhydrase
3. Insulin
4. Carboxypeptidase

Correct answer: 1. Hexokinase

Explanation: Repeated question